Auer Rods are typically not seen in:
1. AML - MO
2. AML - M2
3. AML - M3
4. AML - M1

Correct answer: 1. AML - MO

Explanation: Answer :A.)AML-M0 Auer Rods and Acute Myeloid Leukemia (AML) Auer rods are clumps of azurophilic granular material that form elongated needles seen in the cytoplasm of myeloid leukemic blasts. They can be seen in the leukemic blasts of acute myeloid leukemia with maturation and acute promyelocytic leukemia and in high grade myelodysplastic syndromes and myeloproliferative syndromes. They are composed of fused lysosomes/primary neutrophilic granules and contain peroxidase, lysosomal enzymes, and large crystalline inclusions. Auer rods, the higher percentage being in FAB types M2 and M4 and lower in M1, M3, and M5B, with none in M5A.